Treatment of diabetic retinopathy neovascularisation is/are -
1. Retinal laser photocoagulation
2. Pars plana vitrectomy
3. Phacoemulsion
4. LASIK

Correct answer: 1. Retinal laser photocoagulation

Explanation: Retinal laser photocoagulation is the ideal treatment for treating diabetic Retinopathy neovascularization. Ref AK khurana 6/e p 282